Corticosteroid with maximum sodium retaning potential is:
1. Dexamethasone
2. Prednisolone
3. Aldosterone
4. Betamethasone

Correct answer: 3. Aldosterone